Good-pasture syndrome is characterized by -
1. Anti GBM antibody
2. Crescents
3. Diffuse alveolar damage
4. All of the above

Correct answer: 4. All of the above